Socially attained behavior is:-
1. Culture
2. Acculturation
3. Socialization
4. Society

Correct answer: 1. Culture

Explanation: Culture: Is the learned behavior which is socially acquired. Acculturation: is 'cultural contact' or mixing of two cultures. Society: Is an organization of member agents characterized by 'system' - a system of social relationship between individuals. Socialization: is the process of inheriting norms, customs and ideologies; it may provide the individual with the skills and habits necessary for participating within their own society.